Putting profit ahead of health as a cause of disease is provided by which theory of sociology
1. Feminist
2. Parsonian
3. Marxist
4. Foucauldian

Correct answer: 3. Marxist

Explanation: THEORIES IN SOCIOLOGY: Feminist Theory: Focuses on how gender inequality has shaped social life. Disease is due to social role of women enforced by men. Parsonian Theory: States that illness didnot simply imply a 'biologically altered state, but also a socially altered state. Disease is due to social strain caused by social demainds. Marxist Theory: Is concerned with the relationship between health and illness and capitalist social organisation. Cause of disease is putting profit ahead of health. Foundation Theory: Medical discourse plays an important role in the management of indicidual bodies (Anatomopolitics) and bosies enmasse (biopolitics). Disease is labels to seperate population to make it easier to control. Ref: An introduction to Sociology, health and Illness by Kevin white; Pgno: 7